Which of the following authority can award a death sentence due to any reason?
1. Chief Judicial Magistrate
2. Session judge
3. First class Magistrate
4. Second class Magistrate

Correct answer: 2. Session judge

Explanation: A Session Judge can pass any sentence authorised by law. A session judge can award death sentence but it must be confirmed by High Court (S. 28(2) and S.366 Cr.PC). A Chief Judicial Magistrate can pass sentence of imprisonment upto 7 years and unlimited fine (S.63,I.P.C.). First Class Magistrate can pass sentence of imprisonment upto 3 years and fine upto 5000 rupees. Second Class Magistrate can pass sentence of imprisonment upto one year and fine upto 1000 rupees. Ref: The Essentials of Forensic Medicine and Toxicology by Dr. K. S. Narayan Reddy, 27th edition, Page 6.